All of the following structures pass through the superior aperture of thorax except -
1. Right recurrent laryngeal nerve
2. Left common carotid artery
3. Left sympathetic trunk
4. Thoracic duct

Correct answer: 1. Right recurrent laryngeal nerve

Explanation: Ans. is 'a' i.e., Right recurrent laryngeal nerve Superior aperture of thorax * The narrow upper end of the thorax, which is continuous with the neck is called the superior aperture or the inlet of the thorax.Structures passing through the inlet of thoraxVisceraVesselsNervesMuscles* TracheaLarge vessels* Right and left* Sternohyoid* Oesophagus* Brachiocephalic artery onphrenic nervessternothyroid and* Apices of the lungsright side* Right and leftlongus colliwith pleura* Left common carotidvagus nerves * Remains of theartery and left subclavian* Right and left thymusartery on the left side.sympathetic * Thoracic ductRight and left brachiocephalic veinsSmaller vesselsRight and left internal thoracic arteriesRight and left superior intercostal arteriesRight and left first posterior intercostal veinsInferior thyroid veinstrunks.* Right and left first thoracic nerves as they as